In Millard Gubler syndrome all are involved except:
1. 5th cranial nerve
2. 6th cranial nerve
3. 7th cranial nerve
4. Contralateral hemiplegia

Correct answer: 1. 5th cranial nerve

Explanation: 5th cranial nerve FOCAL VASCULAR SYNDROMES OF THE P REGION SYNDROME NAME VASCULAR SUPPLY ANATOMICAL STRUCTURE (S) CLINICAL FEATURE (5) Medial pontine basis Dysahriadeg hemiparesis (pure motor hemiparesis) Paramedian branches of basilar artery, ventral territory Corticospinal and corticobulbar tracts Contralateral face, arm, and leg weakness; dysarthria Ataxic hemiparesisdeg Same as above Corticospinal and corticobulbar tracts Contralateral face, arm, and leg weakness; dysarthria Pontine nuclei and pont ocerebellar fibers Contralateral ataxia (occa? sionally ipsilateral ataxia) Medial pontine Foville's syndromedeg Paramedian branches Corticospinal and Contralateral face, arm, and basis and tegmentum of basilar artery, ventral and dorsal territories corticobulbar tracts leg weakness; dysarthria Facial colliculus Ipsilateral face weakness; ipsilateral horizontal gaze palsy Pontine wrong-waydeg Same as above Corticospinal and Contralateral face, arm, and eyes corticobulbar tracts leg weakness; dysarthria Abducens nucleus or paramedian pontine reticular formation Ipsilateral horizontal gaze palsy Millard-Gublerdeg Same as above Corticospinal and Contralateral face, arm, and syndrome corticobulbar tracts, anducent fascicules, (6th N) facial fasci- cules (7th N) leg weakness; dysarthria Epsilateral paresis of lateral rectus with diplopia, Epsilateral paresis of upper and lower face. Other regions(' Paramedian bran- Fascicles of facial nerve Ipsilateral face weakness variably involved ches of basilar artery, ventral and dorsal territories Medial lemniscus Contralateral decreased position and vibration sense Lateral caudal AICA syndromedeg AICA Medial longitudinal Internuclear pons fasciculus ophthalmoplegia (INO) Middle cerebellar peduncle Ipsilateral ataxia Vestibular nuclei Vertigo, nystagmus Trigeminal nucleus and tract Ipsilateral facial decreased pain and temperature sense Spinothalamic tract Contralateral body decreased pain and temperature sense Descending sympathetic fibres Ipsilateral Horner's syndrome Other regionsdeg variably involved Labyrinthine artery Inner ear 1psilateral hearing loss Dorsolateral SCA syndromedeg SCA Superior cerebellar rostral pons peduncle and cerebellum Ipsilateral ataxia Other lateral tegmental structures Variable features of lateral tegmental involvemen (variable) (see AICA syndrome)